Area of fundus seen with direct ophthalmoscope is
1. 1 DD
2. 2 DD
3. 3 DD
4. 4 DD

Correct answer: 2. 2 DD

Explanation: Direct ophthalmoscope is the most commonly practiced method for routine fundus examination. Once the retina is focused the details should be examined systematically starting from the disc, blood vessels, the four quadrants of the general background and the macula. Reference: